"Interface dermatitis" is a histological feature of
1. Psoriasis
2. Lichen planus
3. Pityriasis rosea
4. Dermatophytosis

Correct answer: 2. Lichen planus

Explanation: Interface dermatitis includes diseases in which the primary pathology involves the dermo-epidermal junction. (hence called interface). The salient histological findings include basal cell vacuolization, apoptotic keratinocytes (colloid or Civatte bodies), and obscuring of the dermo-epidermal junction by inflammatory cells. Lupus erythematosus, dermatomyositis, lichen planus, graft versus host disease, erythema multiforme, fixed drug eruptions are some examples. Ref Harrison 20th edition pg 1234